DNA polymerase have:
1. 5' -+ 3' exonuclease activity
2. 5' --> 3' polymerase activity
3. 3' --> 5' exonuclease activity
4. All of the above

Correct answer: 4. All of the above

Explanation: A i.e. 5'--> 3' exonuclease activity; B i.e. 5'-* 3' Polymerase activity; C i.e. 3'-* 5' exonuclease activity;